Punishment for rape is given under which section of IPC:
1. Sec. 320
2. Sec. 375
3. Sec. 376
4. Sec. 351

Correct answer: 3. Sec. 376

Explanation: Ans. Sec. 376